Wernicke's aphasia is seen due to lesion in?
1. Precentral gyrus
2. Inferior frontal gyrus
3. Superior temporal gyrus
4. Inferior temporal gyrus

Correct answer: 3. Superior temporal gyrus

Explanation: ANSWER: (C) Superior temporal gyrusREF: Gray's anatomy 39th edition, page 415See previous question